Pancreatitis may be produced by following drugs
1. Colchicine
2. L-Asperaginase
3. Ciprofloxacin
4. Nalidixic acid

Correct answer: 2. L-Asperaginase

Explanation: Drugs associated with pancreatitis Definitive cause (MAD CAT PET TV FM) 6-Mercaptopurine Azathioprine Dideoxyinosine Cytosine arabinoside 5-Aminosalicylate Tetracycline Pentamidine Estrogens Trimethoprim - Sulfamethoxazole Thiazide Valproic acid Furosemide Metronidazole Probable cause (PILAAS) Phenformin Procainamide Isoniazid L-Asperaginase Acetaminophen Alpha-Methyl-dopa Sulindac Ref: Sabiston 20th edition Pgno : 1526